Persistent diarrhoea in infants
1. 7 days
2. 1 month
3. 21 days
4. 14 days

Correct answer: 4. 14 days